Best prognosis after whipple's is seen in
1. Cholangiocarcinoma
2. CA duodenum
3. CA pancreas
4. Ampullary carcinoma

Correct answer: 2. CA duodenum

Explanation: Best prognosis : Duodenal adenocarcinoma >Ampullary carcinoma >Distal Bile duct adenocarcinoma >Head of pancreas >Body and tail of pancreas (DAD Head Body and Tail) Ref: Shackelford 7th edition Pgno : 1201